The major advantage of alternate day prednisone therapy for conditions such as asthma-
1. There is less adrenal suppression
2. More effective
3. More convenient
4. Less expensive

Correct answer: 1. There is less adrenal suppression

Explanation: Ans. is 'a' i.e., There is less adrenal suppression Measures that minimize hypothalamic - pituitary - adrenal axis suppression - Use shorter acting steroids Use lowest possible dose Use for shortest period Give entire daily dose at a time Switch to alternate - day therapy